40-year-old chronic alcoholic presents with distended abdomen, hematemesis and fresh blood in stool. On examination huge ascites and distended veins over abdominal wall are noted. Most likely cause of hematemesis is.
1. Esophagitis
2. Esophageal varices
3. Esophageal cancer
4. Erosion of gastroduodenal artery

Correct answer: 2. Esophageal varices

Explanation: Ans. (b) Esophageal varicesRef: Sabiston 20th edition Page 1437* Cirrhosis case has come with Portal hypertension and Esophageal Varices bleeding.